Which of the following burs is used for developing
chamfer margins?
1. Flat ended, tapered diamond cylinder
2. Round ended, tapered diamond cylinder
3. Twelve fluted carbide burs
4. End cutting burs

Correct answer: 2. Round ended, tapered diamond cylinder